The last to receive electrons in electron transport system is:
1. Coenzyme-Q
2. FADH2
3. O2
4. Cytochrome-C

Correct answer: 3. O2

Explanation: Ans. c. O2 (Ref: Harper 28/e p105,108)The last to receive electrons in electron transport system is O2Electron Transport Chain (ETC)/Respiratory ChainEnergy rich molecules like glucose are ultimately metabolized to CO2 and water.The metabolic intermediates of these oxidation reactions donate electrons to NAD/FAD to form energy rich coenzymes NADH/FADH2.These energy rich reduced coenzymes, in turn, donate electrons to a specialized series of electron carriers/donors arranged aft redox potential (EQ)- collectively called ETC.ETC is present in inner mitochondrial membrane and is the final common pathway in aerobic cells by which electrons obtained from different fuels of body flow to oxygen. This requirement of O2 makes the ETC the respiratory chain, which accounts for the greatest portion of body's use for oxygen.Electrons flow through the ETC through a redox span of 1.1 volts from NAD+/NADH to O2/H2OThe components of respiratory chain contain 4 large protein complexes (initial 2 are flavoproteins and last 2 are cytochromes) and 2 mobile electron carriers-coenzyme Q and cytochrome C.The chain reaction of e-transport starts with formation of NADH (by various substrate dehydrogenases removing hydrogen atom as in TCA cycle-isocitrate/a-ketoglutamte/malate-dehydrogenase). Transfer of hydride ion (:H-, bearing 2 electrons) and a free proton (H-) to NAD+ 1/t formation of NADH (having 2 e-) plus a free proton (H+).Component of ETCProsthetic Group/Etectron flowFeaturesComplex 1:NADH dehydrogenase/ NADH-Ubiquinone (CoQ) oxidoreductase/NADH-CoQ reductaseFMN, non heme iron sulfur proteins (FeS)* It is a large L shaped 42 subunit protein which accepts 2e- and 1 H+ from NADH and transfer it to CoQ* 12 Kcal/mol of released energy is utilized to pump 4 protons (H+)Q out of mitochondria into inter membranous space.NADH - FMN | Fes | CoQ Complex II:Succinate dehydrogenase/ Succinate -Q- ReductaseFAD, FeS * It is a small 4 subunit protein which accepts e- from succinate and transfer it to CoQ.* It is not a proton pump as energy liberated is not enough to pump protons.Succinate - FAD | Fes | CoQ * It also contain heme b that is not in direct path of e- transfer but serve to reduce the frequency with which e- leak out of system, moving from succinate to molecular O2 to produce reactive oxygen speciesCoenzyme Q (CoQ)/ Ubiquinone/Q* This only non-protein member of ETC is a lipid soluble benzoquinone with long hydrophobic isoprenoid tail (side chain).* It is called ubiquinone as it is ubiquitous (present everywhere) quinone derivative Menaquinone (of bacteria) and plastoquinine (of chloroplast) have analogous roles* It can accept 1 or 2 electrons to become semiquinone or ubiquinol respectively. So it can act at the junction of 2e- donor and 1e- acceptor (Q cycle).* Because it is small and hydrophobic, Q is a mobile carrier freely diffusible within the lipid bilayer of inner mitochondrial membrane and can shuttle b/w other less mobile e- carriers.* It has a central role in coupling e- flow to proton (H+) movement as it carries both e- and H+.* For transferring to complex III it accepts hydrogen atom (e- and H+) from.* FMNH2 produced in complex I (from FMN)* FADH2 produced in complex II* FADH2 produced in b-oxidation by acyl CoA dehydrogenase (through ETF-ubiquinone- oxidoreductase) and by glycerol 3 phosphate dehydrogenase. These bypass complex II and I.Complex III:Cytochrome bC1 complex/ Ubiquinone cytochrome C oxido-reductase/ Cytochrome reductaseFe-S, Heme group (a porphyrin ring and iron, which is reversibly converted from Fe3+ to Fe2+ form)* It transfers electron from CoQ to cytochrome C. - 10 Kcal/mol of released energy is utilized to pump 4 protonsQ out of mitochondria into inter membranous space.* Q cycle couples e- and H+ transport in complex III and involves cytochrome b1, bH (b562, b566), cytochrome C1 and Rieske Fe - S (an unusual iron sulfur protein in which one of the iron atom is linked to 2 histidine -SH rather than 2 cysteine- SH groups), oxidation of QH2 (ubiquinol) to Q (ubiquinone) is coupled to reduction of 2 molecules of cytochrome via cytochrome CQ - Cyt b | Cyt C1 | CytC Cytochrome c* Soluble carrier protein of intermembrane space* After its single heme group accepts an electron from complex III, cytochrome c moves to complex IV to donate electron to a binuclear copper centreComplex IV Cytochromec oxidase/cytochromeoxidase2 Heme groups (of cyt a, a3),2 copper ions of CuA, CuB* It transfers electrons from cytochrome C to the final acceptor O2 converting (reducing) it to water (H2O).* O2 remains tightly bound to complex IV (a3) until it is fully reduced to H2O, this minimizes the release of ROS.* It pumps 2 proton (H+) out into inter membrane space for every pair of electron passing down the chain by complex IVCyt C - CuA | Cyta | Cyt a3 | CuB | O2